Mechanism of action of cholera toxin:
1. Increase in c-AMP
2. Decrease in c-AMP
3. Activates Na+ K+ ATPase
4. Inhibit Na+ K+ ATPase

Correct answer: 1. Increase in c-AMP

Explanation: Ans. A: Increase in c-AMP The debilitating loss of intestinal fluid is caused primarily by the release of cholera toxin, the main virulence factor of the pathogen Vibrio cholerae. Cholera toxin consists of an A subunit coupled to a B subunit: the A subunit consists of an Al domain containing the enzymatic active site, and an A2 domain while the B subunit contains five identical peptides that assemble into a pentameric ring surrounding a central pore. This AB; structure is closely related to the heat-labile enterotoxin (LT) from enterotoxigenic Escherichia coli, which causes diarrhoea, often in infants. Symptoms begin when the massive secretion of water and sodium in the small intestine, a consequence of the activation of cyclic AMP, exceeds the resorptive capacity of the colon.